Sterilisation is
1. Pathogens killed but spores are not affected
2. Only pathogenic micro-organisms killed
3. Non-pathogenic killed
4. All pathogenic and non-pathogenic microorganisms killed

Correct answer: 4. All pathogenic and non-pathogenic microorganisms killed